What is epoophoron?
1. Urogenital sinus
2. Remnants of the wollfian duct
3. Unfused portion of wollfian duct
4. Vestigeal structure of urogenital sinus

Correct answer: 2. Remnants of the wollfian duct

Explanation: Epoophoron also known as organ of rossenmullar is a vestigal remanat of the cranial end of the mesonephros or the wollfian body. It is situated above the ovary. Caudal end of the wollfian body gives rise to paraoophoron situated between the uterus and ovary. It can form paraovarian cyst. Ref: Testbook of gynaecology By Dutta, 5th Edition, Page 35.